Prospective screening is done in:
1. Neonate for thyroid disease
2. Immigrant screening
3. Pap smear for cervical cancer
4. Diabetes mellitus

Correct answer: 2. Immigrant screening

Explanation: Immigrant screening is an example of prospective screening. Screening of Immigrants from infectious diseases such as Tuberculosis and Syphilis to protect the home population is done. It is done for the benefit of others. Neonatal screening is an example of Prescriptive screening Pap smear is an example of secondary level of prevention.